The major prostanoid synthesized in kidney is
1. PGE1
2. PGE2
3. PGI2
4. PGF2-alpha

Correct answer: 2. PGE2

Explanation: PGE2 is the major prostanoid synthesized in the kidney. It is secreted by: RMICs (Renal Medullary Interstitial cells) Macula densa Cells in the collecting ducts. Prostacyclin (PGI2) and other prostaglandins are secreted by the arterioles and glomeruli. Renal Medullary interstitial cells (RMICs) and are specialized fibroblast-like cells which are major site of cyclooxygenase 2 (COX-2) and prostaglandin synthase (PGES) expression. Ref: Ganong's Review of Medical Physiology 26th editon Pgno: 662